Not a feature of CBD stone
1. Pain
2. Jaundice
3. Fever
4. Septic shock

Correct answer: 4. Septic shock

Explanation: Clinical features of CBD stone CBD stone may be silent and are often discovered incidentally. In these patients, biliary colic, jaundice, clay coloured stools and darkening of the urine Fever and chills may be present in patients with choledocholithiasis and cholangitis Serum bilirubin, aminotransferases, and ALP are commonly elevated in patients with biliary obstruction but are neither sensitive nor specific for the presence of common duct stones Among these, serum bilirubin has the highest positive predictive value for the presence of choledocholithiasis Laboratory values may be normal in one third of Patients with choledocholithiasis Ref: Sabiston 20th edition Pgno:1494